Most common presentation of radiation carditis is :
1. Pyogenic Pericarditis
2. Pericardial Effusion
3. Myocardial Fibrosis
4. Atheromatous Plaque

Correct answer: 2. Pericardial Effusion

Explanation: B i.e. Pericardial Effusion Asymptomatic Pericardial effusionQ is the most common presentation of radiation carditis which is best diagnosed by EchocardiographyQ Radiation exposure may also cause acute pericarditis which presents as chest pain, fever, with or without pericardial effusion.